A newborn presents with mid anterior abdominal wall defect. The House-surgeon is told that this swelling has a characteristic feature i.e spontaneous resolution at age of 5 years by his Professor. What could be the diagnosis?
1. Patent urachus
2. Omphalocele
3. Ectopia vesicae
4. Umbilical hernia

Correct answer: 4. Umbilical hernia

Explanation: (Umbilical hernia) (1317-18- CSDT 12th) (1289,1355 B & L 24th) (980-Baily & Love 25th) * Gastroschisis is the most common abdominal defect (726- Nelson 18th) * Ectopia vesicae (exstrophy of the bladder) - Caused by the incomplete development of the infra-umbilical part of the anterior abdominal wall, associated with incomplete development of the anterior wall of the bladder owing to delayed rupture of the cloacal membrane {penis is epispadic, mons and clitoris are bifid the urethra is open, umbilicus is absent) * Patent urachus - a patent urachus seldom reveals itself until maturity or even old age. This is because the contractions of the bladder commence at the apex of the organ an pass towards the base. * A patent urachus because it opens into the apex of the bladder is closed temporarily during micturition and so the potential urinary system from the bladder is cut off Omphalocele - midline abdominal wall defect. When the defect is less than 4 cm it is termed a hernia of the umbilical cord; when greater than 10 cm it is termed a giant omphalocele Umbilical hernia - a fascial defect at the umbilicus less than 1cm in diameter close spontaneously by 5 years of age in 95% of cases. Greater than 1.5cm in diameter it seldom closes spontaneously. Unlike inguinal hernia, protrusion of bowel through the umbilical defect